Mass approach includes
1. Television
2. Seminars
3. Role play
4. Symposium

Correct answer: 1. Television

Explanation: Home visits, Personal letters, personal contact are individual approachTelevision, radio, newspaper, folk methods, internet are mass approaches.Lectures, Demonstrations, Discussion methods (Symposium, conferences, roleplay..etc) are group methods.Park 23e pg: 862